Waterfall effect is seen in which part of lung?
1. Lower and middle portions of the lung
2. Upper portion of the lung
3. Middle portion of the lung
4. Lower portion of the lung

Correct answer: 3. Middle portion of the lung

Explanation: Water fall effect describes blood flow in the middle portion of lung. Middle portion of lung: Blood flows in pulses. Initially - No flow due to of obstruction at the collapsed venous end of the capillary Pressure from the arterial side builds up until it exceeds alveolar pressure and flow resumes-Dissipates the capillary pressure- Returns to the start of the cycle. The blood flow in this region is determined by the pulmonary artery-alveolar pressure difference. Blood "falls" into the pulmonary veins, which are compliant and take whatever amount of blood can flow into them. This has been called the waterfall effect.